Conn's syndrome it characterised by all except -
1. Polyuria
2. Polydipsia
3. Weakness
4. Anasarca

Correct answer: 4. Anasarca

Explanation: Conn syndrome is characterused by primary hyperaldosteronism by a aldosterone producing adenoma(APA). The clinical hallmark of mineralocorticoid excess is hypokalemic hypertension; serum sodium tends to be normal due to the concurrent fluid retention, which in some cases can lead to peripheral edema.and in severe cases, it may lead to anasarca Hypokalemia can be exacerbated by thiazide drug treatment, which leads to increased delivery of sodium to the distal renal tubule, thereby driving potassium excretion. Severe hypokalemia can be associated with muscle weakness, overt proximal myopathy, or even hypokalemic paralysis; polyuria (secondary to renal tubular damage which produces nephrogenic diabetes insipidus). Severe alkalosis contributes to muscle cramps and, in severe cases, can cause tetany. Reference : page 2319 Harrison's Principles of Internal Medicine 19th edition